A 55yr old man with dementia was given a natural alkaloid. Which of the following could it be-
1. Tacrine
2. Donepezil
3. Galantamine
4. Rivastigmine

Correct answer: 3. Galantamine

Explanation: Ans. is 'c' i.e., Galantamine Galantamine: o It is a natural alkaloid which selectively inhibits cerebral acetylcholinesterase and has some direct agonistic action on nicotinic receptors as well. o It has produced cognitive and behavioral benefits in Alzheimer's disease